A 40 year old female underwent surgery. Postoperatively she told the anesthetist that she was aware of preoperative events. Individual intraoperative awareness is evaluated by:
1. Cerebral pulse oximetry
2. Colour Doppler
3. Bispectral imaging
4. End tidal CO2

Correct answer: 3. Bispectral imaging

Explanation: C i.e. Bispectral imaging Intraoperative awareness and depth of anaesthesia can be evaluated by BIS (bispectral index)Q